The prototype of type-II hypersensitivity reaction is -
1. Arthus reaction
2. SLE
3. Autoimmune hemolytic anemia
4. Contact dermatitis

Correct answer: 3. Autoimmune hemolytic anemia

Explanation: Type II hypersensitivity reaction is initiated by IgG or rarely IgM antibodies that react either with cell surface or tissue antigen. Cell or tissue damage occurs in the presence of complement or mononuclear cells. - Example is lysis of red cells caused by anti-erythrocyte antibodies in autoimmune hemolytic anemia. Reference : Anathanarayan & paniker's 9th edition, pg no: 166,162